The components of Levator ani are
1. Pubococoygeus, Ischiococcygeus
2. Pubococoygeus, lliococcygeus
3. Pubococoygeus, Iliococcygeus & Ischiococcygeus
4. Ischiococcygeus, lliococcygeus

Correct answer: 2. Pubococoygeus, lliococcygeus

Explanation: Pubococoygeus & lliococcygeus together is known as Levator ani